Which substance will elicit the sensation of sour taste?
1. Aldehydes
2. Alkaloids
3. Amino acids
4. Hydrogen ions

Correct answer: 4. Hydrogen ions

Explanation: The taste sensation of sour is proportional to the logarithm of the hydrogen ion concentration caused by acids. The taste sensation of sweet is caused by a long list of chemicals, including sugars, alcohols, aldehydes, ketones, and amino acids The taste sensation of bitter is caused by many organic substances that contain nitrogen, as well as by alkaloids.